Clinpro 5000 tooth paste used as remineralizing agent contain W/V:
1. 0.5% NaF
2. 0.21% NaF
3. 1.1% NaF
4. 0.02% NaF

Correct answer: 3. 1.1% NaF

Explanation: One similar product to Clinpro" Tooth Crème is "Clinpro 5000 1.1% Sodium fluoride Anti-Cavity Toothpaste. It is sold to remineralize lesions throughout-not just on the surface.

Clinpro" Tooth Crème is an anti-cavity toothpaste, from 3M, that aids in the prevention of dental cavities and can be used in place of your usual toothpaste. 
Exclusive formula protects against cavities and helps reverse white spots.
Perfect for patients at moderate or high risk of dental cavities.
Contains 0.21% NaF As well as calcium and phosphate, which are components naturally found in saliva. Vanilla mint flavor.